Contusion is of less value than abrasion because of the following except:
1. They may become visible several hours after injury
2. They may not indicate the site of trauma
3. They do not indicate the direction of force
4. They do not indicate the manner of injury

Correct answer: 4. They do not indicate the manner of injury

Explanation: - Character and manner of injury may be known from the distribution of bruise - eg. Small bruises along with nail marks on the inner aspect of thighs of a woman may indicate sexual assault. - Bruises are of lesser value than abrasions because: Their size may not correspond to the size of the weapon They do not indicate the direction of the applied force. They may become visible after few hours to 1-2 days after the injury has happened. They may appear at a distance away from the actual site of injury eg. black eye